Pyruvate dehydrogenase complex contains all except
1. Biotin
2. NAD
3. FAD
4. CoA

Correct answer: 1. Biotin

Explanation: Pyruvate dehydrogenase complex--thiamin diphosphate, lipoate, NAD+, FAD, and CoA Reference: Harper; 30th edition; Page no: 163